A mutation that results in premature termination of incorporation of amino acid into a peptide chain is a
1. Nonsense mutation
2. Transversion
3. Silent mutation
4. Frameshift mutation

Correct answer: 1. Nonsense mutation

Explanation: In genetics, a nonsense mutation is a point mutation in a sequence of DNA that results in a premature stop codon or a nonsense codon in the transcribed mRNA, and in a truncated, incomplete, and usually nonfunctional protein product. It differs from a missense mutation, which is a point mutation where a single nucleotide is changed to cause substitution of a different amino acid. Some genetic disorders, such as thalassemia and DMD, result from nonsense mutations.